Magnan's symptom is seen in:
1. Datura
2. Cocaine
3. Opium
4. Cannabis

Correct answer: 2. Cocaine

Explanation: Altered tactile sensation: the person feel that some insects are crawling on his skin. This is known asMagnan's symptomorcocaine bugs(formication). Cocaine is an alkaloid derived from plantErythroxylon coca.